Coverings of spermatic cord are all except ?
1. Internal spermatic fascia
2. Cremasteric fascia
3. External spermatic fascia
4. Dartos muscle

Correct answer: 4. Dartos muscle

Explanation: Ans. is 'd' i.e., Dartos muscleThe spermatic cord consists of a tubular sheath extending from the deep inguinal ring to the upper part of posterior border of testis. Constituents of spermatic cord are ?Ductus deferens (Vas deferens)Arteries :- Testicular artery, cremestric artery, artery to ductus deferens.Veins :- Pampiniform plexus.Nerves :- Genital branch of genitofemoral nerve and sympathetic plexus around arteries.Others :- Lymphatics, remains of the processes vaginalis.Covering of spermatic cord, from within outwards, are :- (i) internal spermatic fascia, (ii) cremasteric fascia and (iii) external spermatic fascia.